Which of the following is derived from ectoderm?
1. Epithelium of iris
2. Ciliary muscles
3. Vascular endothelium
4. Sclera

Correct answer: 1. Epithelium of iris

Explanation: Some epithelia derived from ectoderm- the epithelium of the skin , hair follicles, sweat glands, sebaceous glands, and mammary glands - the epithelium over cornea and conjunctiva, external acoustic meatus and the outer surface of the tympanic membrane- the epithelium of some part of the mouth, the lower part of the anal canal, terminal part of the male urethra, parts of the female external genitaliaRef: Human Embryology; Inderbir Singh; Tenth Edition; Page No: 95